Elaboration of inactivating enzymes are the important mechanism of drug resistance among all of these antibiotics EXCEPT :
1. Quinolones
2. Penicillin
3. Chloramphenicol
4. Aminoglycosides

Correct answer: 1. Quinolones

Explanation: Resistance to fluoroquinolones is mediated by mutation in DNA gyrase.